Keshan disease is manifestation of?
1. Selenium excess
2. Zinc excess
3. Selenium deficiency
4. Zine deficiency

Correct answer: 3. Selenium deficiency

Explanation: Keshan disease is endemic cardiomyopathy due to selenium deficiency.